Which of the following tooth has single antagonist tooth
1. A Maxillary CI and mandibular LI
2. Mandibular CI and maxillary 3rd molar
3. Mandibular 3rd molar and mandibular CI
4. Maxillary 3rd molar and maxillary CI

Correct answer: 2. Mandibular CI and maxillary 3rd molar